Which of the following is not caused by sandfly?
1. Trench fever
2. Kala azar
3. Oriental sore
4. Sandfly fever

Correct answer: 1. Trench fever

Explanation: Diseases transmitted by various species of sandfly include: SPECIES DISEASES CAUSED Phlebotomus argerntipes Kala azar Phlebotomus papatasii Sandfly fever, oriental sore Phlebotomus sergentii Oriental sore Sergentomyia punjabensis Sandfly fever Ref: Park 21st edition page: 716.